Most reliable diagnosis of hydatidiform mole is by:
1. HCG estimation
2. Amniography
3. Ultrasound
4. Absence of FHS

Correct answer: 3. Ultrasound

Explanation: Ultrasound